Who introduced patient hygiene performance index (PHP Index)
1. Podshadly & Hartley
2. Green & Vermilion
3. Gruebell
4. Quigley & Hein

Correct answer: 1. Podshadly & Hartley